Rosette cataract is seen due to:
1. Trauma
2. Copper foreign body
3. Diabetes
4. Hyperparathyroidism

Correct answer: 1. Trauma

Explanation: Trauma. Ring/ pettal shaped marking on the lens. Ref: AK khurana 7th ed.